Hand wrist radiograph provides a view of:
1. 25 bones
2. 26 bones
3. 30 bones
4. 32 bones

Correct answer: 3. 30 bones

Explanation: A radiograph of the hand and wrist provides a view of some 30 small bones, all of which have a predictable sequence of ossification.